Upstream and downstream hydrocephalus is seen in
1. Ependymoma
2. Pineal germinoma
3. Choroid plexus papilloma
4. Meningioma

Correct answer: 3. Choroid plexus papilloma

Explanation: Most Brain tumors usually produce only upstream hydrocephalus. Choroid plexus papilloma is a CSF producing tumor located in occipital horns of lateral ventricle and produces both upstream and downstream hydrocephalus. CECT axial image showing intensely enhancing lesion in occipital horn of left lateral ventricle s/o Choroid plexus papilloma.